How much reduction in strength and toughness in endodontically treated molars attributed to changes in collagen cross-linking and dehydration of dentin?
1. 5%
2. 14%
3. 21%
4. 60%

Correct answer: 2. 14%

Explanation: "Almost 14% reduction in toughness in endodontically molars compared with vital dentin due to changes in collagen cross- linking and dehydration of dentin".